Which of the following statements about Premature ventricular beats is false-
1. Sequential depolarization of ventricles
2. Wide, Bizzare, Notched QRS complexes
3. Prevalence decreases with age
4. Palpitations is a common presenting feature

Correct answer: 3. Prevalence decreases with age

Explanation: PVC prevalence increases with age Premature ventricular contractions (PVCs) are extra heartbeats that begin in one of your heart's two lower pumping chambers (ventricles). These extra beats disrupt your regular heart rhythm, sometimes causing you to feel a fluttering or a skipped beat in your chest If PVCs are frequent or troublesome, medication (beta blockers or certain calcium channel blockers) may be used. Very frequent PVCs in people with dilated cardiomyopathy may be treated with radiofrequency ablation Although there are many possible symptoms associated with PVCs, PVCs may also have no symptoms at all. PVCs may be perceived as a skipped heart beat, a strong beat, palpitations, lightheadedness. They may also cause chest pain, a faint feeling, fatigue, or hyperventilation after exercise.Symptoms may be more pronounced at times of stress. Women may be more aware of PVCs at the time of the menstrual period. Premature ventricular contractions may be associated with underlying heart disease, and certain characteristics are therefore elicited routinely: the presence of signs of heart disease or a known history of heart disease (e.g. previous myocardial infarction), as well as heart disease or sudden cardiac death in close relatives. PVCs and palpitation associated with syncope (transient loss of consciousness) or provoked by exertion are also concerning. Physical examination is focused on identifying evidence of underlying heart disease Premature ventricular contractions can occur in a healthy person of any age, but are more prevalent in the elderly and in men. In a very significant proportion of people they occur spontaneously with no known cause. Some possible underlying causes of PVCs include: Adrenaline excess High blood calcium Cardiomyopathy, hypertrophic or dilated Certain medicines such as digoxin, which increases heart contraction or tricyclic antidepressants Chemical (electrolyte) problems in the blood Contact with the carina (trachea/bronchi) when performing medical suctioning stimulates vagus nerve Drugs such as: Alcohol Caffeine Cocaine Theobromin Myocardial infarction Hypercapnia (CO2 poisoning) Hypertension (high blood pressure) Hypokalemia--low blood levels of potassium. Can occur in those taking diuretics ("water pills")[ Hypomagnesaemia--low blood levels of magnesium Hypoxia Lack of sleep/exhaustion[ Magnesium and potassium deficiency Mitral valve prolapse Myocardial contusion Myocarditis Sarcoidosis[ Smoking Stress[ Ref Harrison 20th ed pg 1434